1st line treatment for smoking cessation includes
1. Nortriptyline
2. Clonidine
3. Varenicline
4. Buspirone

Correct answer: 3. Varenicline

Explanation: Varenicline -ALPA 4 BETA 2 partial agonist for nicotinic receptors is the new 1st line treatment for smoking dependence. Ref: Essentials of postgraduate psychiatry By JN Vyas 1st ed Pg 351